Mutism and akinesis in a person who appears awake and even alert is best described as
1. Twilight state
2. Oneroid state
3. Stupor
4. Delirium

Correct answer: 3. Stupor

Explanation: Stupor: Akinesis (no movement) with mutism but with evidence of relative preservation of conscious awareness. the most important psychiatric disorders in which the patient presents with stupour is catatonia which is a type of schizophrenia and dissosiative stuour which is a type of neurotic illness. catatonic stupour has a good response with electro convulsive therapy and lorazepam dissosiative stupour has a good response with psychotherapy and narcoanalysis and working on the stressors in patients life. Ref: A Short Textbook of Psychiatry, Niraj Ahuja, 7th Edition, pg. no.59 synopsis of psychiatry, kaplan and sadock, 11th Edition, pg. no.309